Which type of bartter's syndrome is associated with Sensorineural deafness .
1. Type - 1
2. Type - 3
3. Type - 4
4. Type - 5

Correct answer: 3. Type - 4

Explanation: Chloride Channel accessory subunit also Expressed in inner ear, and also associated with  type 4 Bartter's.